Which fungal infection is commonest to occur in neutropenia -
1. Candida
2. Histoplasma
3. Aspergillus niger
4. Aspergillus fumigatus

Correct answer: 1. Candida